Beta-adrenoceptor blocking agent that should be avoided in patients with renal failure is:
1. Atenolol
2. Metoprolol
3. Propranolol
4. Esmolol

Correct answer: 1. Atenolol

Explanation: (Ref: Katzung, 14th ed. pg. 179; KDT 6th ed. pg. 140 table 10.2)Lipid insoluble b blockers: These agents are mainly excreted by kidney and are therefore contraindicated in renal failure. These have long duration of action. The drugs are:Nadolol (longest acting b blockers)SotalolAtenololAcebutololBetaxololBisoprololCelioprolol